42 yrs old man presented with dizziness on standing,SBP falls by 50 mm Hg and HR is 52/min likely cause is -a)  CHFb)  Inferior wall MIc) Pheochromocytomad) Theophylline toxicitye) Sick sinus syndrome
1. ab
2. ad
3. be
4. ce

Correct answer: 3. be